Drug of choice for Tourette syndrome is?
1. Haloperidol
2. Amantidine
3. Propanolol
4. Diazepam

Correct answer: 1. Haloperidol

Explanation: Ans. A. HaloperidolMedication for tic suppression (Tourrete syndrome)Neuroleptics - Pimozide, along with haloperidol and fluphenazine are the medications with the most proven efficacy in controlling tics.